Pott's spine is commonest in spine -
1. Cevical
2. Thoracic
3. Lumbar
4. Sacral

Correct answer: 2. Thoracic

Explanation: Potts Spine * Tubercular spondylitis has been documented in ancient mummies from Egypt and Peru and is one of the oldest demonstrated disease.Percival Pott presented the classic description of spinal TB in 1779. * Spinal TB constitutes about 50% of all cases of osteoarticular TB. * MC site: Lower thoracic and lumber region followed by middle thoracic and cervical vertebrae. Paradiscal * Commonest type * Spread through arterial supply * Bacteria lodge in the contiguous areas of two adjacent vertebrae 4 granulomatous inflammation leading to erosion of vertebral margins -loss of nutrition of intervertebral disc -Disc degeneration * When the intervertebral discs have been completely destroyed,the adjacent bodies fuse with each other. Central Lesions * Body of single vertebra is affected. * Starts in the centre of the vertebral body. * Infection at this site probably reaches through Batson's venous or branches of post.vertebral artry. * Lytic area develops in the centre of vertebral body leading to balooning of vertebral body mimicking tumour * Later stages-concentric collapse resembling Verebra Plana. * Disc space is not/minimally affected Clinical Features * Constitutional symptoms,such as fever, night sweats,loss of weight and appetite may occur before symptoms related to spine. 1. Pain-can be -*Localised to the site(MC early symptoms) - Radicular -*worsen with activity and at night(night cries) 2. Stiffness -Protective mechanism of body where paravertebral muscle go into spasm to prevent movement at the affected vertebra. 3. Cold abcess - Patient may present the first time with swelling(cold abcess) or due to its compression effects:- Retropharyngeal abscess --Dysphagia,dyspnea, Hoarseness of voice Mediastinal abscess --Dysphagia Psoas abscess -- Flexion deformity of hip -No usual signs of inflammation like heat ,redness etc. -Follows paths of least resistance along facial planes,blood vassels &nerves. REF :MAHESWARI 9TH ED